T-staging of esophagus is best done by -
1. EUS
2. CT
3. MRI
4. PET

Correct answer: 1. EUS

Explanation: Ans. (a) EUSRef Sabiston 20th Edition, Page 1027-1035* IOC for diagnosis: Endoscopic biopsy* IOC for T Staging: EUS* IOC for N staging: EUS* IOC to assess Metastasis: CECT chest and abdomen